Cell drinking is also known as:
1. Phagocytosis
2. Pinocytosis
3. Endocytosis
4. None of the above

Correct answer: 2. Pinocytosis

Explanation: Pinocytosis ("cell drinking") is a similar process with the vesicles much smaller in size and the substances ingested are in solution. Ref: Ganong's Review of Medical Physiology 23rd edition, Chapter 2.